A 5 year 11 months old female patient complains about the irritation in the gums over her back tooth. Intraorally a white hard spicule was seen embedded overlying the crest of the ridge. With the given findings and radiograph presented, What will be the diagnosis for this condition?
1. Eruption cyst
2. Eruption sequestrum
3. Calculus
4. Epstein’s pearls

Correct answer: 2. Eruption sequestrum

Explanation: ERUPTION SEQUESTRUM 
The eruption sequestrum is occasionally seen in children at the time of the eruption of the first permanent molar. Starkey and Shafer have described the sequestrum as a tiny spicule of nonviable bone overlying the crown of an erupting permanent molar just before or immediately after the emergence of the tips of the cusps through the oral. Regardless of its origin, the hard tissue fragment is generally overlying the central fossa of the associated tooth, embedded, and contoured within the soft tissue. As the tooth erupts and the cusps emerge, the fragment sequestrates. Eruption sequestra are usually of little or no clinical significance. It is probable that some of these sequestra spontaneously resolve without noticeable symptoms. However, after an eruption sequestrum has surfaced through the mucosa, it may easily be removed if it is causing local irritation. The base of the sequestrum is often still well embedded in gingival tissue when it is discovered, and application of a topical anesthetic or infiltration of a few drops of a local anesthetic may be necessary to avoid discomfort during removal. 
Note: Calculus is not seen embedded in soft tissue.
           Epstein’s pearls are seen in neonates.
           Eruption cyst aka eruption hematoma is a soft tissue finding, not seen on radiograph.